Which of the following is/are the products (s) of lipoxygenase pathway -
1. PG
2. TXSA2
3. Leukotrienes
4. Prostacyclin

Correct answer: 3. Leukotrienes

Explanation: Harshmohan textbook of pathology 9th edition. *pg 46 metabolites cyclo-oxigenase pathway- prostaglandins,thromboxane A2 ,prostacyclin. *metabolites lipo-oxigenase pathway:5-HETE, leukotrienes,lipoxins.